Cloudy cornea is/are seen:
1. Klinefelter syndrome
2. Turner syndrome
3. Megalocornea
4. Mucopolysaccharidosis

Correct answer: 4. Mucopolysaccharidosis

Explanation: Answer- D. MucopolysaccharidosisS-SclerocorneaT-TraumaU-UlcerM- MucopolysaccharidosisP-Peter anomalyED- Congenital hereditary endothelial dystrophy